In TCA cycle, NADH is produced at all sites except
1. Isocitrate dehydrogenase
2. Succinate dehydrogenase
3. Malate dehydrogenase
4. Pyruvate dehydrogenase

Correct answer: 2. Succinate dehydrogenase

Explanation: 6th Step: Formation of Fumarate Succinate is dehydrogenated to fumarate, an unsaturated dicarboxylic acid, by succinate dehydrogenase (step 6, Fig.18.2). The hydrogen atoms are accepted by FAD. The FADH2 then enters into ETC to generate ATPs.Ref: DM Vasudevan, 7th edition, page no: 248